Which is not a feature of occulomotor nerve palsy?
1. Miosis
2. Difficulty in accommodation
3. Superior gaze palsy
4. Diplopia

Correct answer: 1. Miosis

Explanation: A i.e., Miosis